Strawberry skin appearance of the nasal mucosa is seen in :
1. Wegener's granulomatosis
2. Sarcoidosis
3. Kawasaki disease
4. Rhinosporidiosis

Correct answer: 2. Sarcoidosis

Explanation: ANSWER: (B) Sarcoidosis REF: Ballenger s otorhinolaryngology: head and neck surgery page 563, 522, Diseases of the sinuses: diagnosis and management By David W. Kennedy page 88 Strawberry skin & nasal mucosa: Sarcoidosis is above all a multisystem disorder that frequently involves upper respiratory tract. In the nose, the inferior turbinate and nasal septum are most commonly affected with the characteristic granular appearance of the mucosa. The term "strawberry skin" has been used to describe the tiny pale granulomas dotted about on the reddened mucosa Strawberry nasal mass: a nasal mass of Rhinosporidiosis is a pedunculated friable vascular mass that is studded with subepithelial spores resembling strawberry Strawberry gingiva is a distinctive sign in Wegener's granulomatosis Strawberry tongue is the appearance of the tongue with inflamed red papillae, giving an appearance suggestive of a strawberry. It is seen in Kawasaki disease, toxic shock syndrome, and scarlet fever.